A pregnant mother at 32 weeks gestation presents in preterm labour. Therapy with antenatal steroids to induce lung maturity in the fetus may be given in all of the following condition except :
1. Prolonged rupture of membranes for more than 24 hours
2. Pregnancy induced hypertension
3. Diabetes mellitus
4. Chorioamnionitis

Correct answer: 4. Chorioamnionitis

Explanation: The condition in which steroid are given to the patient is :- Premature rupture of membrane Polyhydramnios Hypertension Diabetes Severe anemia Indicated preterm delivery due to medical or obstetric complication We dont give steroids in Chorioamnionitis as it is an Infective condition and the risk of flare up of infection increases with steroids